Treatment of stage III carcinoma ovary:
1. Total hysterectomy
2. Total hysterectomy + bilateral salpingo-oophorectomy
3. Debulking surgery + removal of tumour
4. None of the above

Correct answer: 3. Debulking surgery + removal of tumour

Explanation: Ans. C i.e. Debulking surgery + removal of tumour Advanced and inoperable cases (stage III, IV) will benefit from debulking surgery and removal of tumour. Postoperative chemotherapy and radiotherapy improve the survival and quality of life Ovarian tumours Meigs syndrome: - Ascites, - Hydrothorax (right side) and - Benign tumour of ovary (fibroma); Malignant ovarian tumour in included in: Pseudomeig syndrome Masculinizing ovarian tumours: Hilus cell tumour, - Sertoli cell tumour, - Leydig cell tumour Feminizing cell tumour: - Theca cell tumour, - Granulosa cell tumour MC ovarian tumour (in < 20 years): Dysgerminoma Most radiosensitive ovarian tumour: Dysgerminoma Histological features of ovarian tumours Rokintansky bodies: Teratoma Schiller Duval bodies: Endodermal sinus tumour Reinkes crystal: Hilus cell tumour Call Exner bodies: Granulosa cell tumour Ovarian tumours and markers Placental alkaline phosphatase: Dysgerminoma LDH: Dysgerminoma Inhibin: Granulosa cell tumour CA 125: Ovarian tumours